Which among the following is indicative of bone resorption?
1. Osteocalcin
2. Urine hydroxyproline
3. Bone specific alkaline phosphatase
4. Type 1 procollagen

Correct answer: 2. Urine hydroxyproline

Explanation: Markers of bone formation: Markers of bone resorption: Serum bone specific alkaline phosphatase --Serum osteocalcin Serum carboxy terminal extension peptide of pro-collagen-1 Serum type I collagen extension peptide Urine and serum cross-linked N telopeptides Urine and serum cross-linked C telopeptides Urine hydroxyproline Urine deoxypyridinoline Urine hydroxylysine glycosides Serum TRAP (Tartarate resistant acid phosphatase) --Serum bone sialoprotein